Which of the following tracts is concerned with pain & temperature
1. Pyramidal tract
2. Anterior spinothalmic tract
3. Lateral spinothalmic tract
4. Dorsal spinocerebellar tract

Correct answer: 3. Lateral spinothalmic tract

Explanation: C i.e. Lateral spinothalmic tract